The following interleukin is characteristicallyproduced in a TH1 response -
1. IL-2
2. IL-4
3. IL-5
4. IL-10

Correct answer: 1. IL-2

Explanation: . IL-2